Open neural tube defects are best detected by increase in which of the following enzyme ?
1. Acetylcholinesterase
2. Pseudocholinesterase
3. AFP
4. hCG

Correct answer: 1. Acetylcholinesterase

Explanation: Spina bifida is defined as a defect in neural arch,which results in exposure of the contents of the neural canal.In case of open spina bifida, acetyl cholinestetase level is increased. Refer page no 487 of text book of obstetrics, sheila balakrishnan, 2nd edition.